Cat acts as a definitive host and reservoir in:
1. Plague
2. Rabies
3. Toxoplasmosis
4. Listerosis

Correct answer: 3. Toxoplasmosis

Explanation: Toxoplasmosis